Trotter's triad is seen in ?
1. Nospharyngeal angiofibroma
2. Nasal polyposis
3. Nasopharyngeal carcinoma
4. Acoustic neuroma

Correct answer: 3. Nasopharyngeal carcinoma

Explanation: Ans. is 'c' i.e., Nasopharyngeal carcinoma Trotter's triad Trotter's triad occurs in nasopharyngeal carcinoma It includes :- Conductive deafness (due to Eustachian tube blockage) Temporo - parietal neuralgia (due to involvement of ipsilateral Vth cranial nerve) Palatal paralysis (due to involvement of Xth cranial nerve)